As per our National Population Policy 2000, the long-term objective is to achive the population stability by which one of the following years?
1. 2025
2. 2035
3. 2045
4. 2055

Correct answer: 3. 2045

Explanation: National population policy 2000 The National Socio-Demographic Goals to be achieved by the year 2010 were as follows: (1) Address the unmet needs for basic reproductive and child health services, supplies and infrastructure. (2) Make school education upto the age 14 free and compulsory, and reduce drop-outs at primary and secondary school levels to below 20 per cent for both boys and girls. (3) Reduce infant mortality rate to below 30 per 1000 live births. (4) Reduce maternal mortality ratio to below 100 per 100,000 live births. (5) Achieve universal immunization of children against all vaccine preventable diseases. (6) Promote delayed marriage for girls, not earlier than age 18 and preferably after 20 years of age. (7) Achieve 80 per cent institutional deliveries and 100 per cent deliveries by trained persons. (8) Achieve universal access to information/counselling, and services for fertility regulation and contraception with a wide basket of choices. (9) Achieve 100 per cent registration of births, deaths, marriage and pregnancy. (10) Contain the spread of Acquired Immunodeficiency Syndrome (AIDS), and promote greater integration between the management of reproductive tract infections (RTI) and sexually transmitted infections (ST!) and the National AIDS Control Organization. (11) Prevent and control communicable diseases. (12) Integrate Indian Systems of Medicine (ISM) in the provision of reproductive and child health services, and in reaching out to households. (13) Promote vigorously the small family norm to achieve replacement levels of TFR. (14) Bring about convergence in implementation of related social sector programmes so that family welfare becomes a people centred programme The NPP 2000 anticipates that proper implementation of this policy will help limit the population to 1,107 million (110 crores) in 2010, instead of 1,162 million (116 crores) as projected by the Technical Group on Population Projections. It is hoped that the TFR will reach the replacement level of 2.1 by 2010. The long-term objective of achieving a stable population by 2045, at a level consistent with the requirements of sustainable economic growth, social development, and environment protection will also require considerable effort and efficient implementation of the NPP. Ref: Park 25th edition Pgno : 549